Which of the following is supplied by the third cranial nerve?
1. Superior oblique
2. Inferior oblique
3. Lateral rectus
4. Dilator papillae

Correct answer: 2. Inferior oblique

Explanation: In the orbit; the smaller upper division ascends on the lateral side of optic nerve,and supplies the superior rectus and part of the levator palpebrae superioris.The larger lower division divides into three branches for the medial rectus the inferior rectus and the inferior oblique.The nerve to the inferior oblique is the longest of these.It gives off the parasympathetic root to the ciliary ganglion and then supplies the inferior oblique muscle. Ref:BDC volume;3 sixth edition